Test for fixed flexion deformity of the Hip?
1. Thomas test
2. Trendelenburgs test
3. Nelatons test
4. Telescoping test

Correct answer: 1. Thomas test

Explanation: Ans. is 'a' i.e., Thomas test Tests for Hip JointTESTINDICATIONTHOMASFixed flexion DeformityTrendelenburg TestFailure of the Abductor MechanismBryants TriangleSupratrochanteric ShorteningSquaring of pelvisAdduction/Abduction DeformityTelescoping TestPositive in DDH, transcervical neck femur fractureNelatons LineSupratrochanteric ShorteningChienes testSupratrochanteric ShorteningShoemakers LineSupratrochanteric Shortening